Site for action for disulfuram is -
1. Aldehyde dehydrogenase
2. Alcohol dehydrogenase
3. G6PD
4. Acetate dehydrogenase

Correct answer: 1. Aldehyde dehydrogenase

Explanation: Ans. is 'a' i.e., Aldehyde dehydrogenase Disulfiramo Normally alcohol is metabolized by oxidation in liver.Alcohol - AldehydeEthyl alcohol - Acetaldehyde -Acetate - CO2 +. H2ODehydrogenase - dehydrogenaseo Disulfiram inhibits the enzyme aldehyde dehydrogenase.o When alcohol is ingested after taking disulfiram, the concentration of acetaldehyde in tissues and blood rises anda number of highly distressing symptoms (aldehyde syndrome) are produced - Flushing, burning sensation,throbbing headache, perspiration, uneasiness, tightness in chest, dizziness, vomiting, visual disturbances, mentalconfusion, postural fainting and circulatory collapse,o Inhibition of aldehyde dehydrogenase with disulfiram is irreversible, synthesis of fresh enzyme is required for retumof activity.o Disulfiram inhibits a number of other enzyme as well including alcohol dehydrogenase (option b), dopaminehydroxylase and several cytochrome 450 isoenzyme.o It is used for alcohol dependence.o Side effects are rashes, acneform eruptions, urticaria, garlic like or metallic taste, mild GI disturbances, restlessness, nervousness, headache, diziness, tremor, peripheral neuropathy, psychosis and ketosis.Remembero Metabolism of alcohol follows zero order kinetics.